In case of Duchenne Muscular dystrophy, dystrophin gene mutation occurs in promoter region. What process could get affected
1. Replication of DNA containing dystrophin gene
2. Post transcriptional modification of dystrophin gene.
3. Translation of Dystrophin protein
4. Transcription of Dystrophin gene

Correct answer: 4. Transcription of Dystrophin gene

Explanation: Promoter regions are DNA sequences that define where transcription of a gene should begin.
If mutation occurs in promoter region transcription will get affected.